Regarding Clostridium perfringens gas gangrene,false is -
1. Common cause of gas gangrene
2. Nagler reaction positive
3. Most common toxin is hyaluronidase
4. Food poisoning strain of Cl. perfringens produces heat resistant spores

Correct answer: 3. Most common toxin is hyaluronidase